The following protein acts cGMP
1. Atrial natriuretic peptide
2. G-protein
3. Glycoprotein
4. Mucoprotein

Correct answer: 1. Atrial natriuretic peptide

Explanation: Atrial natriuritic peptide is produced by heart due to increased blood pressure, it acts enzyme guanylyl cyclase and produces cGMP Ref:Guyton and Hall textbook of medical physiology 12th edition,page number: 489,490